Commonest tumor of the cervix is :
1. Squamous cell carcinoma
2. Adenocarcinoma
3. Sarcoma
4. Adenoacanth

Correct answer: 1. Squamous cell carcinoma

Explanation: Squamous cell carcinoma